The phase of cell cycle, most sensitive to radiation isa) M Phase  b) G2Phase  c) S Phase  d) Early G1 Phase e) G0Phase
1. ac
2. ab
3. de
4. cd

Correct answer: 2. ab

Explanation: Cells are most radiosensitive in late G, and early M phase → especially G2M interphase.